Half life of factor 8 is ?
1. 4 hours
2. 8 hours
3. 34 hours
4. 48 hours

Correct answer: 2. 8 hours

Explanation: Ans. is 'b' i.e., 8 hour